Northern Blotting is for:
1. RNA
2. DNA
3. Proteins
4. Maternal DNA

Correct answer: 1. RNA

Explanation: Ans. RNA